All of the following statements are true except ?
1. PG's and leukotriences are derived from arachidonic acid
2. Cox-I is an inducible enzyme
3. Cox II is induced by cytokines at sites of inflammation
4. Leukotrienes cause smooth ms. constriction

Correct answer: 2. Cox-I is an inducible enzyme

Explanation: Ans. is 'b' i.e., Cox I is an inducible enzymes o Cox-2 is an inducible enzyme, not Cox-1.